Fatty acid is not utilized by:
1. RBC
2. Skeletal muscle
3. Liver
4. Heart

Correct answer: 1. RBC

Explanation: Ans. A. RBC(Ref: Harper 31/e page 136)The sole fuel for RBC is glucose.Metabolic Fuels for Different OrgansOrganMajor metabolic fuelsLiverFree fatty acids, glucose (in fed state., lactate, glycerol, fructose, amino acids, alcoholBrainGlucose, amino acids, ketone bodies in prolonged starvationHeartQKetone bodies, free fatty acids, lactate, chylomicron and VLDL triacylglycerol, some glucoseAdipose tissueGlucose, chylomicron and VLDL triacylglycerolFast twitch muscleGlucose, glycogenSlow twitch muscleKetone bodies, chylomicron and VLDL triacylglycerolKidneyFree fatty acids, lactate, glycerol, glucoseErythrocyteGlucose